In extraperitoneal approach, to left sympathectomy the following may be injured -
1. Ureter
2. Gonadal vessels
3. A+B
4. IVC

Correct answer: 3. A+B